All are opioid agonist - antagonist compounds except
1. Buprenorphine
2. Nalbuphine
3. Pentazocine
4. Nalmefene

Correct answer: 4. Nalmefene

Explanation: D i.e. Nalmefene